Schirmer-I test measures:
1. Total tear secretions
2. Basal tear secretions
3. Reflex tear secretions
4. All of the above

Correct answer: 1. Total tear secretions

Explanation: Ans. Total tear secretions